Which of the following is the earliest light microscopy finding in myocardial infarction
1. Contraction band necrosis
2. Hypereosinophilia
3. Waviness of fiber
4. Coagulative necrosis

Correct answer: 3. Waviness of fiber

Explanation: Waviness of fiber is the earliest light microscopic finding seen within 30mins to 4 hours.
Earliest electron microscopy finding is mitochondrial swelling.